What is the X-ray view used for Inferior orbital fissure?
1. Water's view
2. Caldwell's view
3. Lateral skull view
4. Towne's view

Correct answer: 4. Towne's view

Explanation: XRay views for evaluating Orbit Rhese view is used for Optic Canal Caldwell View is for Superior Orbital fissure Townes View for Inferior Orbital Fissure Waters View for Orbital Floor